Most common complication of Whipple's procedure is:-
1. Delayed gastric emptying
2. Bleeding
3. Exocrine insufficiency
4. Anastomotic leak

Correct answer: 1. Delayed gastric emptying

Explanation: Most common complication of Whipple's procedure is:-Delayed gastric emptying Morbidity following pancreaticoduodenectomy Delayed gastric emptying (18%) Pancreas fistula (12%) Wound infection (7%) Intra-abdominal abscess (6%) cardiac events (3%) Bile leak (2%) Overall reoperation (3%)